Which waste cannot be incinerated -
1. Anatomic waste
2. Microbiology waste
3. Halogenated plastic
4. Infectious waste

Correct answer: 3. Halogenated plastic

Explanation: Ans. is 'c' i.e., Halogenated plastic